Dialysis disequilibrium is due to
1. Hypovolemia
2. Bicarbonate Containing dialysate
3. Cerebral Odema
4. Hypokalemia

Correct answer: 3. Cerebral Odema

Explanation: Dialysis disequilibrium syndrome due to rapid shifts in urea levels which induce cerebral Odema.